Amylin is secreted by which cell of pancreas?
1. Alpha cells
2. Beta cells
3. Gamma cells
4. Delta cells

Correct answer: 2. Beta cells

Explanation: Amylin, or islet amyloid polypeptide (IAPP), is a 37-residue peptide hormone. It is cosecreted with insulin from the pancreatic b-cells in the ratio of approximately 100:1.Ref: Ganong's review of medical physiology 23rd edition Page no: 315